Which mode of ultrasound help is Orbital biometry?
1. A- mode
2. B-mode
3. M-mode
4. D-mode

Correct answer: 1. A- mode

Explanation: A Mode Ultrasound is Amplitude Mode used for measuring Axial length of Eyeball and Orbital Biometry. A scan in Opthalmology is the A Mode Ultrasound. B mode is used in routine ultrasonography. M mode is used in chest and obstetric USG. D mode is used for vessels.